Incidence of C shaped canal is maximum for:
1. Mandibular 1st molar
2. Mandibular 2nd molar
3. Maxillary 1st premolar
4. Maxillary 1st molar

Correct answer: 2. Mandibular 2nd molar

Explanation: Some C-shaped canals are difficult to interpret on radiographs and often are not identified until an endodontic access is made. 
These are commonly seen in mandibular second molars and maxillary first molars, especially when roots of these teeth appear very close or fused.